Local anaesthetic used for nasal surgery-
1. Cocaine paste
2. Xylocaine
3. Both
4. None of the above

Correct answer: 3. Both